Paris green is a –
1. Stomach poison
2. Contact poison
3. Repellent
4. Rodenticide

Correct answer: 1. Stomach poison